All of the following are true about Lymphoma of the thyroid, except:
1. It is slow growing
2. It is more common in females
3. It is clinically confused with undifferentiated tumours
4. May present with respiratory distress and dysphagia

Correct answer: 1. It is slow growing

Explanation: Lymphomas of the thyroid are fast growing tumors, not slow growing. It usually present with as a goitre that has grown significantly over a short period. Ref: Harrison's Principle Of Internal Medicine, 16th Edition,Page 2126/ 18th edition chapter 341.